The DMF index is utilized for
1. All deciduous teeth
2. All permanent teeth except the third molars
3. Cuspids and molars only
4. Six permanent teeth

Correct answer: 2. All permanent teeth except the third molars